Reinforced anchorage. Example is
1. Bite plane anterior
2. Posterior bite plane
3. Inclined plane
4. All of the above

Correct answer: 3. Inclined plane